Glands are classified depending upon their mode of secretion. Sebaceous gland is an example of which of the following type of gland?
1. Eccrine
2. Apocrine
3. Holocrine
4. Paracrine

Correct answer: 3. Holocrine

Explanation: Sebaceous glands are holocrine glands. Holocrine glands are those in which the cell after filling with secretory product dies and is expelled along with its content. Eccrine glands are those in which secretory product is expelled by exocytosis. Eg sweat glands involved in thermoregulation and receiving cholinergic sympathetic innervation. Apocrine glands are those in which the secretory product accumulates in the apical cytoplasm and is expelled out by pinching of the apical plasma membrane. Eg mammary gland and apocrine type of sweat glands that are active after puberty and are found in the skin of axilla and around genital organs. Ref: Clinical Anatomy: (a Problem Solving Approach) By Kulkarni page 9